Hyperparathyroidism causes -
1. Multiple bone cysts
2. Subperiosteal bone resorption
3. Brown's tumor
4. All of the above

Correct answer: 4. All of the above

Explanation: Radiological features of bone are : Rarefaction of bones, salt pepper skull, loss of lamina dura, sub-periosteal resorption of bone, multiple cysts, Brown's tumor, and collapse of vertebrae with biconvex disc.